Hassall's corpuscles are present in
1. Thymus
2. Lymphnode
3. Spleen
4. Liver

Correct answer: 1. Thymus

Explanation: Inderbir Singh's Human Histology Sixth edition Pg 140 The medulla of thymus contains pink staining rounded masses called the corpuscles of Hassal